Insulin acts through which receptor? (REPEAT)
1. GPCR
2. Enzyme-linked
3. Intracellular
4. Ion channel

Correct answer: 2. Enzyme-linked

Explanation: Insulin acts through tyrosine phosphate kinase-enzyme.